30 year male with chronic diarrhoea, anemia, raised liver enzymes. Most likely associated with:
1. Antimitochondrial antibody
2. Anti-endomysial antibody
3. Anti-smooth muscle antibody
4. Antinuclear antibody

Correct answer: 2. Anti-endomysial antibody

Explanation: Answer is B (Anti-endomysial antibody): Presence of chronic diarrhea, anemia and elevated liver enzymes is consistent with a diagnosis of Coeliac disease. Antiendomysial antibodies are highly sensitive and specific for diagnosis of celiac disease and the single best answer of choice amongst the options provided.